All are seen in metachromatic leukedystrophy except –
1. Intellectual disability
2. Optic atrophy
3. Decerebrate posture
4. Exaggerated tendon reflexes

Correct answer: 4. Exaggerated tendon reflexes